True about Ebstein anomaly is ?
1. Right ventricular dilatation
2. Right atrial dilatation
3. Left ventricular dilatation
4. Left atrial dilatation

Correct answer: 2. Right atrial dilatation

Explanation: In ebstein anomaly there will be right Atrial dilation to accommodate excess blood Ghai essential of pediatrics ,eighth edition, p.no: 423